Werner disease is associated with?-
1. Intestinal polyps
2. Multiple cancer
3. Lax joints
4. Premature ageing

Correct answer: 4. Premature ageing

Explanation: DNA repair mechanisms are defective in diseases such as Werner syndrome and ataxia-telangiectasia. Werner syndrome (WS), also known as "adult progeria", is a rare, autosomal recessive disorder which is characterized by the appearance of premature aging. Werner syndrome is named after the German scientist Otto Werner.